How much is punishment for sex determination -
1. 3 years
2. 5 years
3. 7 years
4. 9 years

Correct answer: 1. 3 years

Explanation: Ans. is 'a' i.e., 3 yearso According to pre-conception and pre-natal diagnostic techniques (prohibition of sex selection) act 2002, sex detection can lead to a fine of Rs. 10,000 and up to three years Inprisonment for a first offence, with greater fines and longer terms of imprisonment for repeated offenders.